Obstructive lung function is seen in which of the following condition?
1. Obesity
2. Kyphoscoliosis
3. Pleural effusion
4. Asthma

Correct answer: 4. Asthma

Explanation: Obstructive Restrictive 1) COPD 1. ILD 2) Asthma 2. Kyphoscoliosis 3) Bronchiectasis 3. Pleural effusion 4) a1-antitrypsin deficiency 4. Idiopathic pulmonary fibrosis 5. GB syndrome 6. M. Gravis/ Crisis 7. Muscular dystrophy 8. Amyotrophic lateral sclerosis 9. Asbestosis , silicosis 10. Sarcoidosis ( late stages) 11. B.O.O.P 12. Morbid obesity 13. Nitrofurantoin 14. Amiodarone 15. Methotrexate